All of the following are Beta-lactamase inhibitors except:
1. Clavulanic acid
2. Aztreonam
3. Sulbactam
4. Tazobactam

Correct answer: 2. Aztreonam

Explanation: Ans. B: Aztreonam Monobactams-Unlike other beta-lactams, the monobactam contains a nucleus with no fused ring attached. Thus, there is less probability of cross-sensitivity reactions. Aztreonam Tigemonam Nocardicin A Tabtoxinine-beta-lactam. Beta-lactamase inhibitors: Although they exhibit negligible antimicrobial activity, they contain the beta-lactam ring. Their sole purpose is to prevent the inactivation of beta-lactam antibiotics by binding the beta-lactamases, and, as such, they are co-administered with beta-lactam antibiotics. Clavulanic acid Tazobactam Sulbactam.